In post splenectomy the vaccine is used for following infection EXCEPT
1. Salmonella
2. H. influenzae
3. Strepto pneumonae
4. Meningococci

Correct answer: 1. Salmonella

Explanation: (Salmonella) (1092-93-LB) (666-CSDT1lth) (1110-B &L 25th)Postsplenectomv septicaemia - may result from Streptococcus pneumonia, N. meningitis, H. influenzae and E. coli* If elective splenectomy is planned, consideration should be given to vaccinating against pneumococcus, H. influenzae and meningococcus.* In general, splenectomy should be deferred until age 6 unless the hematologic problem is especially severe.